Mitochondrial abnormalities are seen in -a)  Oncocytomab)  Kearn-Sayre syndromec)  Faber diseased)  Mitochondrial myopathye)  Leigh's disease
1. abcd
2. bcde
3. acde
4. abde

Correct answer: 4. abde

Explanation: Mitochondrial myopathy, name itself says, involves mitochondrial DNA.
Oncocytomas are benign tumors characterized by dense accumulation of mitochondria. Oncocytomas occur in kidney, thyroid gland (Hurthle cell tumors), salivary gland and adrenal gland.
Faber disease is a lysosomal disease.